Type I diabetes mellitus is initially managed by:
1. Metformin
2. Sulfonylureas
3. Meglitinide
4. None of them

Correct answer: 4. None of them

Explanation: Ans. D: None of them Type 1 diabetes mellitus is treated with insulin replacement therapy -- usually by insulin injection or insulin pump, along with attention to dietary management, typically including carbohydrate tracking, and careful monitoring of blood glucose levels. Untreated type 1 diabetes commonly leads to coma, often from diabetic ketoacidosis, which is fatal if untreated.